Structural classification of B-lactamases was given by:
1. Amber
2. Bush
3. Ross
4. Kennedy

Correct answer: 1. Amber

Explanation: Amber gave molecular / structural classification, where B-lactamases are classified into 4 categories (A,B,C,D)
Bush gave funtional classification of B-lactamases.